Which of the following about the valves of Houston is true?
1. They disappear after mobilization of the rectum
2. The middle valve folds towards the right side
3. The upper valve corresponds to the anterior peritoneal reflection
4. The valves contain all layers of the muscle wall

Correct answer: 1. They disappear after mobilization of the rectum

Explanation: A i.e. They disappear after mobilization of rectum